Not true about Frontal sinus
1. Osteomas are common
2. Sinusitis leads to morning headaches
3. Opens into middle meatus
4. Present at Birth

Correct answer: 4. Present at Birth